Auto-splenectomy is associated with -
1. Systemic lupus erythematosus
2. Trauma
3. Sarcoidosis
4. ITP

Correct answer: 1. Systemic lupus erythematosus

Explanation: Answer- A. Systemic lupus erythematosusSLE patients with thrombocytosis anil antiphospholipid sytdrome are at risk of developing autosplenectomy.